Diptheria toxin acts by-
1. inhibiting acetyl choline release
2. inhibiting protein synthesis
3. inhibiting glucose transport
4. increasing level of cyclic AMP.

Correct answer: 2. inhibiting protein synthesis